Levodopa is contraindicated in-
1. Hlpeension
2. Multiple selerosis
3. Pheochromocytoma
4. Angle closure glaucoma

Correct answer: 4. Angle closure glaucoma

Explanation: Ans: D. Angle closure glaucoma[Ref: clinical Pharmacology 8th/e p. 715).Contraindication of LevodoPaNarrow angle glaucomaHemolytic anemiaAngina pectorisTransient ischemic attackHistory of melanoma or undiagnosed skin diseasePatients taking MAO inhibitors.